In the treatment of severe bradycardia, all of the following can be best modality of treatment except -
1. Atropine
2. Pacing
3. Isoproterenol
4. Diltiazem

Correct answer: 4. Diltiazem

Explanation: Ans. is 'd' i.e., Diltiazem